Lines of Blaschko represent:
1. Lines along lymphatics
2. Lines along blood vessels
3. Lines nerves
4. Lines of development

Correct answer: 4. Lines of development

Explanation: Ans. (d) Lines of developmentBlaschko's lines reflect cell migration during embryogenesis of the skin. Nevi cluster along these lines